Minimal change glomerulopathy may be seen in association with all of the following except -
1. Hepatitis B
2. HIV
3. Drug-induced interstitial nephritis
4. Hodgkin's disease

Correct answer: 1. Hepatitis B